The heart is made up of which type of muscle
1. Skeletal muscle
2. Smooth muscle
3. Cardiac muscle
4. none

Correct answer: 3. Cardiac muscle

Explanation: Cardiac muscle forms the heart and is the only place in the animal’s body where it can be found.